ADAMTS deficiency is seen in -
1. Essential thrombocythemia
2. ITP
3. Thrombotic thrombocytopenic purpura
4. CLL

Correct answer: 3. Thrombotic thrombocytopenic purpura

Explanation: Answer- C. Thrombotic thrombocytopenic purpuraPatients with TTP are deficient in an enzyme called ADAMTS (This enzyme is ako known as vWF metalloprotease).